Position of mid-inguinal point is ?
1. Midpoint of Anterior Superior Iliac Spine (ASIS) and pubic tubercle
2. Mid point of ASIS and pubic symphysis
3. Mid point of both ASIS
4. Mid-point of inguinal ligament

Correct answer: 2. Mid point of ASIS and pubic symphysis